Surgery is not useful in
1. Cerebral oedema
2. Depressed fracture
3. Extral dural haemorrhage
4. Subdural haemorrhage

Correct answer: 1. Cerebral oedema